Kwashiorkor is characterised by all except –
1. Dermatitis
2. Edema
3. Flag sign
4. Alertness

Correct answer: 4. Alertness

Explanation: There is lethargy and listlessness (not alertness).